2 weeks old baby having scrotal pigmentation along with hyponatremia, gypoglycemia and hyperkalemia enzyme deficient?
1. 11 beta hydroxylase
2. 21 a- hydroxylase
3. 3- Beta hydroxylase dehydrogenase
4. 17- hydroxylase deficiency

Correct answer: 2. 21 a- hydroxylase

Explanation: Ans. is 'b' i.e., 21 a- hydroxylase